Agoraphobia is associated with
1. OCD
2. Bipolar disorders
3. Stress disorders
4. Panic disorders

Correct answer: 4. Panic disorders

Explanation: (D) Panic disorders # AGORAPHOBIA is characterized by anxiety in situations like environment's vast openness or crowdedness.> These situations include wide-open spaces, as well as uncontrollable social situations such as the possibility of being met in shopping malls, airports and on bridges.> It is most commonly associated with panic disorders and standardized tools, such as Panic and Agoraphobia Scale, can be used to measure the severity of agoraphobia and panic attacks and monitor treatment.> Exposure treatment can provide lasting relief to the majority of patients with agoraphobia. Systematic desensitization may also be used. Medications like selective serotonin reuptake inhibitor (SSRI). Benzodiazepines, MAO inhibitors and tricyclic antidepressants are also sometimes prescribed for treatment of agoraphobia.> Antidepressants should be used in conjunction with exposure as a form of self-help or with cognitive behaviour therapy.